Which of the following enzymes, requires Biotin as the coenzyme
1. Pyruvate Dehydrogenase
2. Pyruvate Kinase
3. Pyruvate Carboxylase
4. PEP Carboxy Kinase

Correct answer: 3. Pyruvate Carboxylase

Explanation: Pyruvate enters the mitochondrion and is carboxylated to oxaloacetate by pyruvate carboxylase, an ATP-dependent reaction in which the coenzyme is the Vitamin biotin.Ref: Harper's Biochemistry; 30th edition; Chapter 16; The Citric Acid Cycle: The Central Pathway of Carbohydrate, Lipid & Amino Acid Metabolism